A hetero sexual male presents with multiple non-indurated painful ulcers with undermined edges and enlarged lymph nodes 5 days after exposure. Most likely diagnosis is:
1. Herpes genitalis
2. LGV
3. Primary chancre
4. Chancroid

Correct answer: 4. Chancroid

Explanation: Painful, non indurated, acute, tender ulcers with undermined irregular edges are characteristic of chancroid, a sexually transmitted disease of short incubation period caused by Haemophilus ducreyi. Ref: Textbook of Dermatology, Venereology and Leprology By Devinder Mohan Thappa, 2nd Edition, Chapter 28, Pages 286-87